Antimalarial agent safe for use in pregnancy is :
1. Atovaquone
2. Pyrimethamine
3. Primaquine
4. Proguanil

Correct answer: 4. Proguanil